The main infectious agent associated with recurrent pulmonary infections in patients with cystic fibrosis is _____________ .
1. Mycoplasma
2. Pseudomonas
3. Pneumocystis
4. Aspergilus

Correct answer: 2. Pseudomonas

Explanation: Pseudomonas affect small children with malnutrition and poor immunity.it colonise airway of patients with cysticfibrosis and cause recurrent pulmonary exacerbations. pathology:well demarcated areas of consolidation and necrosis occur due to vasculitis Ref : ESSENTIAL PEDIATRICS ,O.P.GHAI, PG NO:355,7 th edition